Osborne waves in ECG is seen in?
1. Hypothyroidism
2. Hypothermia
3. Hyponatremia
4. Hypocalcemia

Correct answer: 2. Hypothermia

Explanation: Osborn waves are usually observed in people suffering from hypohthermia with a temperature of less than 32 C (90 F), though they may also occur in people with high blood levels of calcium , brain injury, vasopastic angina or ventricular fibrillation . in Hyponatremia,Hypocalcemia,Hypothyroidism Osborn waves are not observed Ref Harrison 20th edition pg 1456